Melatonin is produced by-
1. Pituitary
2. Pineal gland
3. Hypothalamus
4. Thalamus

Correct answer: 2. Pineal gland

Explanation: Ans. is 'b' i.e., Pineal gland * Melatonin ia a hormone secreted by pineal gland.* It is involved in sleep-wake cycle.